Which of the following shows progresion of events against time -
1. Barchart
2. Pie chart
3. Histogram
4. Line diagram

Correct answer: 4. Line diagram

Explanation: Ans. is 'd' i.e., Line diagram* Line diagram (Line graph) is used to show the trend of events with passage of time.